Regarding Brucellosis, all of these are true except-
1. Man to man transmission
2. A zoonosis
3. Blood cultures used in diagnosis
4. B melitensis is the most common cause

Correct answer: 1. Man to man transmission